The movements at the _____ joint permit a person to look to the right and left
1. Atlanto-occipital
2. Atlanto-axial
3. C2-C3
4. C3-C4

Correct answer: 2. Atlanto-axial

Explanation: The movements at the atlantoaxial joint allow a person to look left and right. The atlanto-axial joints include 3 synovial joints Median atlanto-axial joint: The central pivot joint between the dens of the axis and a ring formed by the anterior arch of axis and transverse atlantal ligament. Lateral atlanto-axial joint: plain synovial joints between lateral masses of atlas and upper facets of the body of axis. Movements: Movements at the atlanto-axial joint almost exclusively is rotation around the axis, which help side-to-side roatation of the head. The normal range of atlanto-axial ratation is about 40deg. Ref: Gray's Anatomy 41st edition Pgno: 738